All of the following are example of enzyme catalysing substrate level of phosphorylation; except
1. Physphoglycerate kinase
2. Pyruvate kinase
3. Succinate thiokinase
4. Phosphofructokinase

Correct answer: 4. Phosphofructokinase

Explanation: Substrate level phosphorylation:
It is the synthesis of ATP without the involvement of electron transport chain.
Examples of substrate level phosphorylation in glycolysis are